In cases of Cancer breast with Her-2 neu amplification when will you do FISH?
1. HER 2 neu 1 +
2. HER 2 neu 2+
3. Irrespective of Her 2 neu
4. HER 2 neu 3+

Correct answer: 2. HER 2 neu 2+

Explanation: Ans. (b) HER 2 neu 2+(Ref NCCN Guidelines for Cancer breast)* HER 2 Status of the cancer breast is routinely done by IHC study with values from "0 to + l, +2 and +3.* Recently FISH (Fluorescence Insitu Hybridization) is used to detect HER 2 amplification and advised for IHC HER 2 positive cases of values +2 onwards.* 20% incidence is detected and treated by Trastuzumab (HER 2 receptor inhibitor)